Hypertranslucency of lung unilaterally is seen on all except –
1. Pnetunothorax
2. Resection of mammary gland
3. Pulm art. obstruction
4. Pneumonectomy

Correct answer: 4. Pneumonectomy

Explanation: Pneumectomy produces opaque hemithorax (not hypertranslucent).
Pneumothorax, resection of the mammary gland (mastectomy), and pulmonary artery obstruction (Pulmonary embolism) produce unilateral hypertranslucency.